Multinucleated giant cells are least likely to be found in
which of the following disorders?
1. Blastomycosis
2. Cat scratch fever
3. Sarcoidosis
4. Streptococcus pneumonia

Correct answer: 4. Streptococcus pneumonia